All are decreased in infiltrative lung disease, Except
1. Vital capacity
2. Alveolar arterial difference in PaO2
3. Total lung capacity
4. Lung compliance

Correct answer: 2. Alveolar arterial difference in PaO2